A couple has 2 children but now they are uable to conceive. The father is diagnosed to be having hypogonadotrophic hypogonadism. Which of the following is false:
1. Low LH and FSH
2. Normal testosterone
3. Oligospermia
4. High prolactin levels

Correct answer: 2. Normal testosterone

Explanation: Hypogonadotropic HypogonadismPituitary is making less LH & FSH ; therefore stimulation to the gonads i.e testes is lesser leading to hypogonadism. 1. LH | & FSH | 2. | Testosterone 3. Oligospermia 4. High prolactin levels